Mean Hb values in two population groups are compared by
1. Paired t test
2. Unpaired t test
3. Chi square test
4. Fischer test

Correct answer: 2. Unpaired t test

Explanation: Ref:Park's Textbook of Preventive and Social Medicine 25th Ed